Absence of Ultra hepatic bile duct leads to which syndrome?
1. Von Meyenburg Complexes
2. Polycystic Liver Disease
3. Caroli Disease
4. Alagille Syndrome

Correct answer: 4. Alagille Syndrome

Explanation: Answer- D. Alagille SyndromeIt is an autosomal recessive condition characterized by absence of bile ducts in pool tract,